Diagnosis of falciparum
1. HRP I
2. HRP II
3. HRP III
4. HRPIV

Correct answer: 2. HRP II

Explanation: Ans. is 'b' i.e., HRP II